As per RCH, which of the following is the first referral unit:
1. Subcenter
2. Primary health center
3. Community health center
4. Medical college hospital

Correct answer: 3. Community health center

Explanation: Ans. C: Community Health Center The identified first referral unit (FRU)/ hospital means that it must have the following: A gynecologist. Facilities for blood transfusion. Operation theatre and anesthetist. Oxygen and life-saving medicines. X - Ray and laboratory diagnosis. CHCs are being established and maintained by the State Government under MNP/BMS programme. It is manned by four medical specialists i.e. Surgeon, Physician, Gynecologist and Pediatrician supported by 21 paramedical and other staff. It has 30 in-door beds with one OT, Xray, Labour Room and Laboratory facilities. It serves as a referral center for 4 PHCs and also provides facilities for obstetric care and specialist consultations. As on March, 2007, there are 4,045 CHCs functioning in the country.